Paget-Schroetter syndrome is
1. Primary lower limb DVT
2. Primary upper limb DVT
3. Femoral vein compression
4. Pelvic vein compression

Correct answer: 2. Primary upper limb DVT

Explanation: Primary upper limb deep vein thrombosis is Paget Schroetter syndrome is due to subclavian vein compression that occurs in thoracic outlet syndrome.